A patient has been diagnosed as having "long QT syndrome." The patient is experiencing significant pain following a bout with shingles. What would be an appropriate drug for his pain?
1. Amitriptyline
2. Fentanyl
3. Acyclovir
4. Gabapentin

Correct answer: 4. Gabapentin

Explanation: It's a case of post-herpetic neuralgia. Gabapentin is the drug of choice. Amitriptyline can also be used for pain but it can also cause arrhythmia.